The most important cells in type I hypersensitivity -
1. Macrophages
2. Mast cells
3. Neutrophils
4. Lymphocytes

Correct answer: 2. Mast cells